Susceptibility bias is eliminated by:
1. Randomization
2. Single blinding
3. Double blinding
4. Matching

Correct answer: 1. Randomization

Explanation: Randomization